Which bacteria acts by inhibiting protein synthesis?
1. Pseudomonas
2. Staphylococcus
3. Streptococcus
4. Klebsiella

Correct answer: 1. Pseudomonas

Explanation: Ans. is 'a' i.e., Pseudomonas